Abatacept is a new drug approved for :
1. SLE
2. Rheumatoid arthritis
3. Sjogren syndrome
4. Scleroderma

Correct answer: 2. Rheumatoid arthritis

Explanation: Abatacept is the newer biological being used in refractory Rheumatoid Arthritis. The other newer biological agent used is Rituximab which is a monoclonal antibody that destroys B cells. It is a fusion protein composed of the Fc region of the immunoglobulin IgG1 fused to the extracellular domain of CTLA-4. ESSENTIALS OF MEDICAL PHARMACOLOGY; SEVENTH EDITION -K.D TRIPATHI Page:212